Causes of cynosis -a) TOFb) PDAc) Tricuspid atresiad) Eisenmenger's complexe) TGA
1. bce
2. acde
3. abcd
4. abde

Correct answer: 2. acde